All of the following are true about Chlamydia except-
1. Gram positive
2. Causes trachoma
3. Causative organism of psittacosis
4. Are also called basophilic viruses

Correct answer: 1. Gram positive